Vesicular transport is atype of:
1. Active transport
2. Passive transport
3. Diffusion
4. Osmosis

Correct answer: 1. Active transport

Explanation: Vesicular transport utilizes atp and is atype of active transport It includes exocytosis and endocytosis